Which of the following muscles moves the condyle and articular disc anterior and downwards on glenoid fossa:
1. Lateral pterygoid
2. Medial pterygoid
3. Temporalis-anterior fibers
4. Temporalis — posterior fibers

Correct answer: 1. Lateral pterygoid